Antidote of methanol poisoning:
1. Fomepizole
2. Foscarnet
3. Morphine
4. Bupropion

Correct answer: 1. Fomepizole

Explanation: Ans. A. FomepizoleAll the symptoms of methanol poisoning are due to toxic metabolite (formic acid). In order to prevent its formation, ethanol can be given or fomepizole which is competitive inhibitor of alcohol dehydrogenase, can be given.